Which of the following may develop as a result of juvenile
diabetes mellitus?
1. Ataxia
2. Aphasia
3. Deafness
4. Blindness

Correct answer: 4. Blindness

Explanation: BLINDNESS
Blindness affects a large number of individuals worldwide. It is not an all or none phenomenon, and a person is considered affected by blindness, if the visual acuity does not exceed 20/200 in the better eye, with the correcting lenses, or if the visual acuity is greater than 20/200 but accompanied by a visual field of no greater than 20 degrees.
Etiology

Prenatal

Causes are optic atrophy, microphthalmos, tumors, cataracts, toxoplasmosis, rubella, syphilis. TB meningitis, etc.


Postnatal

Causes are trauma, hypertension, premature birth, hemorrhagic disorders, leukemia, diabetes mellitus, glaucoma, etc.



Pediatric Dentistry / Shobha Tandon - 2nd Ed  P: 546